The complications of MI are all except -
1. Pulmonary embolism
2. Systemic embolism
3. Dissection of aorta
4. Ventricular fibrillation

Correct answer: 3. Dissection of aorta